Vasoconstricting mediator is -
1. Prostacyclin
2. Thromboxane-A2
3. PGD2
4. Lipoxins

Correct answer: 2. Thromboxane-A2

Explanation: Robbins basic pathology 9th edition page no 46, Thromboxane A2 is a potent vasoconstrictor Lipoxins are arachidonic acid metabolite which has anti-inflammatory action. PGF2a is a vasoconstrictor whereas PGD2 and PGE2 are vasodilators